The protein that carries iron from the gut to the body tissues is called
1. Ferritin
2. Haemosiderin
3. Myoglobin
4. Transferrin

Correct answer: 4. Transferrin